Instruments used for removal of lingual shoulder and enlarge orifices of a root canal are
1. Gates Glidden drills
2. Peeso reamers
3. Compactor
4. H File

Correct answer: 1. Gates Glidden drills